Least chance of infection during dialysis is by?
1. AV fistula
2. Tunnel catheter
3. Venous catheter
4. AV graft fistula

Correct answer: 1. AV fistula

Explanation: The best type of long-term access is an AV fistula. A surgeon connects an artery to a vein, usually in your arm, to create an AV fistula. ... The AV fistula is a blood vessel made wider and stronger by a surgeon to handle the needles that allow blood to flow out to and return from a dialysis machine and has least chance of Infections Ref Harrison20th edition pg 233